A 65-year-old gentleman is having tremors, rigidity and reduced mobility. He is likely to be benefited by
1. Bromocriptine
2. Alpha-methyldopa
3. Reserpine
4. Acyclovir

Correct answer: 1. Bromocriptine

Explanation: Symptoms suggestive of Parkinson's disease Treatment modality are : 1)levodopa + carbidopa 2)Bromocriptine(dopamine receptor agonist) 3)MAOI-B inhibitor : selegiline and rasagiline 4)COMT inhibitors : Entacapone and tolcapone 5)Amantadine 6) Anticholinergic : benzhexol 7)Surgery 8)Physiotherapy, occupational therapy and speech therapy. Reference : Harrison20th edition pg 2567